All except one are formulas used to calculate fluid replacement in burns patients
1. Brooke formula
2. Evan's formula
3. Parkland regime
4. Holiday segar formula

Correct answer: 4. Holiday segar formula

Explanation: Holiday sgar formula is not used to calculate fluid replacement in burns patient.